Root value of nerve supplying small muscles of hand -
1. C5C6
2. C3C4
3. C8T1
4. C6C7

Correct answer: 3. C8T1

Explanation: Ans. is 'c' i.e., C8Tl* All small muscles of hand i.e. thener, hypothenar, interossei & lumbricals are supplied by C8, T7 nerve roots.JointMovementSpinal segmentMovementSpinal segmentShoulderAbductionC5AdductionC6,7,8ElbowFlexionC5,6ExtensionC,7,8RadioulnarSupinationC6PronationC7WristExtensionC6FlexionC7FingersFlexion/ ExtensionC8Adduction/AbductionT1